Restoration margins are plaque-retentive and produce the most inflammation when they are located
1. Supragingival
2. Subgingival
3. At the level of the gingival margin
4. On buccal surfaces of teeth

Correct answer: 2. Subgingival

Explanation: Supragingival margins are least detrimental to the gingival tissues; subgingival margins are the most detrimental due to the accumulation of dental plaque.